The dengue fever virus is
1. Flavi virus
2. Echo virus
3. Entero virus
4. Orthomyxo virus

Correct answer: 1. Flavi virus

Explanation: Dengue (breakbone fever) is a mosquito-borne infection caused by a flavivirus that is characterized by fever, severe headache, muscle and joint pain, nausea and vomiting, eye pain, and rash.Ref: Jawetz, Melnick, & Adelberg's Medical Microbiology; Twenty-Seventh Edition; Chapter 38; Arthropod-Borne and Rodent-Borne Viral Diseases